Epiphyseal tumor before fusion of epiphysis:
1. Chondroblastoma
2. Chondrosarcoma
3. Ewing's sarcoma
4. Giant cell tumor

Correct answer: 1. Chondroblastoma

Explanation: MOST COMMON SITE OF PRIMARY BONE TUMORS (Epiphyseal) Chondroblastoma (before physeal closure)-purely epiphyseal Osteoclastoma/Giant cell tumor (after physeal closure in adults). Articular osteochondroma. Clear cell chondrosarcoma. Ewing's Sarcoma : is diaphyseal(middle of the shaft) Chondrosarcoma: Occurs in bones formed with endosteal formation e.g.proximal femur, pelvis, proximal humerus, distal femur, scapula Usually metaphyseal.